Common variable deficiency is due to -
1. Absent B cells
2. Reduced number of B cells
3. Defective B cell differentiation
4. All of the above

Correct answer: 3. Defective B cell differentiation

Explanation: Most patients with common variable immunodeficiency have normal or near-normal numbers of B cells in the blood and lymphoid tissues.
These B cells, however, are not able to differentiate into plasma cells.
The clinical manifestations are caused by antibody deficiency.
The feature common to all patients is hypogammaglobulinemia, generally affecting all the antibody classes but sometimes only IgG.